Moribund patient, triage color –
1. Red
2. Black
3. Yellow
4. Green

Correct answer: 2. Black

Explanation: The most common triage classification system used international is four colour code system.


Red → High priority treatment or transfer
Yellow → Medium priority
Green → Ambulatory patients
Black → Dead or moribund patients